Which of the following is an Omega-3 fatty acid?
1. Linoleic acid
2. a-Linolenic acid
3. Oleic acid
4. Arachidonic acid

Correct answer: 2. a-Linolenic acid

Explanation: Box 7.3. Clinical Significance of PUFALinoleic and Linolenic acids are polyunsaturated fatty acids.They are called essential fatty acids because they cannot be synthesized by the body and have to be supplied in the diet.Unsaturated fatty acids are also designated o3 (omega 3) family--Linolenic acids o6 family--Linoleic and Arachidonic acids (Fig.7.2) o9 family--Oleic acidArachidonic acid is the precursor of prostaglandins. Arachidonic acid can be synthesized in the body, if the essential fatty acids are supplied in the diet.The pentatonic acid present in fish oils is of great nutritional importance (o3 unsaturated fatty acid).Eicosanoids (eicosa = twenty) are derived from 20 C arachidonic acid. They are polyenoic fatty acids. They are prostanoids (prostaglandins, prostacyclins, thromboxanes) and leukotrienes.Ref: DM Vasudevan - Textbook of Biochemistry, 6th edition, page no: 76